Evidence not used in rape-
1. Semen in vagina
2. Semen on clothes
3. Presence of smega bacilli in vagina
4. Presence of smegma under prepuce

Correct answer: 4. Presence of smegma under prepuce

Explanation: Ans. is 'd' i.e., Presence of smegma under prepuceExamination in a case of rapeA. Examination of victimo Victim cannot be examined without written informed consent. Informed written consent should be obtained if the age of victim is above 12 years. If she is less than 12 years of age or if she is mentally unsound, the written consent of parent'guardian should be taken (Sec. 90 IPC). Victim (female) should be examined by or under supervision of a female RMP (Sec. 53(2) CrPC).o Finding which are suggestive of rape are :- Signs of struggle on clothes (tear, blood, semen, mud etc}, body and genitals {abrasion, contusion, bites or nail marks etc).Presence of the semen in the vagina (proof of sexual intercourse).Presence of spermatozoa in the vagina.Locards principal of exchange states that whenever two bodies come in contact with each other, there is exchange of material between the two and so a criminal can be linked to crime. In case of rape, piece of cloth, button, hair, blood, saliva, semen or smegma from the accused may be found on the body of victim and conversly materials of victim may be found on the body of accused.Presence of smegma bacilli in vagina is suggestive of coitus.B. Examination of accusedo An accused can be examined even without his consent (Sec 53(A) CrPC). Findings may bePresence of torn frenulum is consistent with a recent intercourse.The presence of smegma under prepuce is inconsistent with recent intercoures as it gets rubbed off during sexual intercourse and may be deposited in vagina. It takes about 24 hours to accumulate. Thus, absence of smegma may indicate sexual intercourse, provided no bath is taken.Presence of vaginal epithelial cells on penis can be detected by lugol's iodine.